A 50-year-old male patient presented with a fracture as shown in the x-ray. On examination, there was paralysis of the most of the intrinsic muscles of the hand and loss of sensation from the medial 1.5 palmar surface of fingers. The Doctor carried out several tests to check the integrity of the nerve. All of the following nerves arise from the same cord from which the above injured nerve arises are except: -
1. Thoracodorsal nerve
2. Medial cutaneous nerve of arm
3. Medial pectoral nerve
4. Medial branch of the median nerve

Correct answer: 1. Thoracodorsal nerve

Explanation: THIS IS A CASE OF ULNAR NERVE INJURY WHICH COMES FROM THE MEDIAL CORD OF THE BRACHIAL PLEXUS X RAY SHOWS THE FRACTURE OF MEDIAL EPICONDYLE. TESTS SHOWN ARE THE FROMENT SIGN, WAENBURG SIGN AND MASSE'S SIGN.